8 Year old boy presented with swelling on both
sides of the face, below the ears of 4 days duration.
It first started on the left side and then 3 days later on the right side

Possible diagnosis will be
1. Bacterial sialadenitis
2. Sialadenosis
3. Epidemic parotitis
4. Sialadenitis

Correct answer: 3. Epidemic parotitis